Mycobacterium tuberculosis is differentiated from other atypical mycobacteria by-
1. Niacin test
2. AFB staining
3. PAS staining
4. None of the above

Correct answer: 1. Niacin test